Extravasated urine following rupture of bulbar urethra collects in all the following regions except
1. Penis
2. Scrotum
3. Inguinal canal
4. Beneath the superficial facia in the abdominal wall

Correct answer: 3. Inguinal canal

Explanation: Rupture of the bulbar urethra There is a history of a blow to the perineum, usually due to a fall astride injury. The bulbar urethra is crushed upwards onto the pubic bone, typically with significant bruising. He subsequently developed urinary retention and sepsis secondary to infection of the haematoma and he died some days after the accident. Extravasation of urine is common if the urine is not diverted and the extravasated urine is confined in front of the mid-perineal point by the attachment of Colles' fascia to the triangular ligament and by the attachment of Scarpa's fascia just below the inguinal ligament. The external spermatic fascia stops it getting into the inguinal canals. Extravasated urine collects in the scrotum and penis and beneath the deep layer of superficial fascia in the abdominal wall. CLINICAL FEATURES The signs of a ruptured bulbar urethra are perineal bruising and haematoma, typically with a butterfly distribution. There is usually bleeding from the urethral meatus and retention of urine is also typically present. MANAGEMENT If the diagnosis is suspected, the patient should be treated with appropriate analgesia and antibiotics should be administered. He should be discouraged from passing urine. A full bladder should be drained with a catheter placed by percu taneous suprapubic puncture using a Seldinger technique. This reduces urinary extravasation and allows investigations to establish the extent of the urethral injury. Diagnosis is made by urethrography using water-soluble contrast. If there is significant extravasation, then the perineal collection should be drained. The suprapubic catheter should remain in situ while the bruising and extravasation settle down and a stricture will typically develop at the site of the injury. The optimal treatment is delayed anastomotic urethroplasty after the swelling and bruising have settled down (typically 8-12 weeks later), with excision of the traumatised section and spatulated end-to-end reanastomosis of the urethra. Ref: Bailey and love 27th edition Pgno : 1479